Morbid obesity is defined if BMI is greater than:
1. 18.5
2. 25
3. 30
4. 40

Correct answer: 4. 40

Explanation: Most prevalent form of malnutrition: obesity BMI >40: Grade III obesity BMI > 50: super obesity